Which of the following is a Live Vaccine?
1. Salk polio vaccine
2. HDCV
3. Hepatitis B vaccine
4. 17-D vaccine

Correct answer: 4. 17-D vaccine

Explanation: examples for live attenuated vaccine BCG yellow fever polio measles mumps rubella typhoid varicella rotavirus cholera cold-adapted influenza rotavirus reassoants zoster (refer pgno:103 park 23 rd edition )